A 5 years old child suffering from nephrotic syndrome is responding well to steroid therapy. What would be the most likely finding on light microscopy?
1. No finding
2. Basement membrane thickening
3. Hypercellular glomeruli
4. Fusion of foot process

Correct answer: 1. No finding

Explanation: a. No finding(Ref: Nelson's 20/e p 2521-2528)This is a case of typical MCNS (Minimal Change Nephrotic Syndrome) with a good response to steroid therapy.